Theme: Prosthodontic Components
A - Abutment
B - Clasp
C - Movable joint
D - Pontic
E - Post-dam
F - Reciprocal arm
G - Rest
H - Retainer
I - Saddle
For each of the following descriptions, choose the most appropriate component(s) or feature(s) from the list above. You may use each option once, more than once or not at all.
1 That component of a cobalt-chromium removable partial denture which enables clasps to be functional. These units may also provide bracing.
2 That component of a fixed bridge which helps in breaking stresses through the span. Allows for differential movement across the bridge.
3 The term used to describe the tooth or teeth to which a bridge is attached.
1. 1F 2C 3A
2. 1C 2C 3F
3. 1F 2A 3C
4. 1A 2B 3C

Correct answer: 1. 1F 2C 3A

Explanation: 1 F Reciprocal arm
This component of a removable partial denture reciprocates the action of the clasp. This allows the clasp to be functional. Reciprocal arms are also capable of providing bracing of the denture, and prevent unfavourable lateral displacement.
2 C Movable joint 
This is a component present between a pontic and an abutment (usually mesial), and allows for small vertical movements between the two. The design helps to reduce stress within the bridge.
3 A Abutment 
The abutment is the tooth or teeth to which a bridge is attached. The retainer is that part of a bridge which is attached to the abutment teeth